Which of the following is the most Radiosensitive ovarian tumours :
1. Dysgerminoma
2. Dermoid cyst
3. Serous cyst adenoma
4. Endodermal sinus tumour

Correct answer: 1. Dysgerminoma

Explanation: Ans. is 'a' i.e. Dysgerminoma [Reference Shaws, 12/e, p318, S. Bhadury, essentials of radiology and imaging, 1/e, p5021Dysgerminoma corresponds to seminoma of the tests and one is very well aware that seminomas are highly radiosensitive tumors.List of highly radiosensitive tumorsLymphoma*Seminoma*Myeloma*Ewing's Sarcoma *Wilm's Tumor*